Binding site present on p unit of Na+ - K+ pump is
1. Na+
2. K+
3. ATP
4. Glycosylation

Correct answer: 4. Glycosylation

Explanation: D i.e. Glycosylation